All of the following statement regarding stones in the submandibular gland are true except:
1. 80% of stones occur in the submandibular gland
2. Majority of submandibular stones are radio-lucent
3. Stones are the most common cause of obstruction within the submandibular gland
4. Patient presents with acute swelling in the region of the submandibular gland

Correct answer: 2. Majority of submandibular stones are radio-lucent

Explanation: Ans. B: Majority of submandibular stones are radio-lucent